Which of the following statement is not true about diuretics
1. Acetazolamide is a carbonic acid anhydrase stimulant
2. Thiazides act on cortical diluting segment of nephron
3. Furosemide is a high ceiling diuretics
4. Spironolactone is an Aldosterone antagonist

Correct answer: 1. Acetazolamide is a carbonic acid anhydrase stimulant

Explanation: Acetazolamide is an inhibitor of the enzyme carbonic anhydrase.